The following protein defects can cause hereditary spherocytosis except
1. Ankyrin
2. Palladin
3. Glycophorin C
4. Anion transport protein

Correct answer: 3. Glycophorin C